Which virus is implicated in Burkitt's lymphoma -
1. EBV
2. HTLV
3. HPV
4. HHV8

Correct answer: 1. EBV

Explanation: . EBV